Flexors of lumbar spine are all EXCEPT:
1. Erector spinae
2. External oblique muscle
3. Internal oblique muscle
4. Rectus abdominis

Correct answer: 1. Erector spinae

Explanation: Forward flexors: Rectus abdominis, external abdominal oblique, internal abdominal obliques, transversus abdominis and iliacus-psoas. Lateral flexors: Ipsilateral contraction of the oblique and transversus abdominal muscles and quadratus lumborum.